IMCI approach developed by WHO encompasses following childhood illnesses Except
1. Malaria
2. Measles
3. Diarrhoea
4. Chicken pox

Correct answer: 4. Chicken pox

Explanation: The most common causes of infant and child mortality in developing countries (including India) are:-Acute respiratory infections-Diarrhoea-Malaria-Measles and-Malnutrition IMCI approach developed by WHO encompasses these childhood illnesses. Ref : Park 23rd edition Pgno : 576